"White centered retinal haemmorrhage" is seen in
1. SABE
2. Leukaemia
3. Diabetes mellitus
4. All of the above

Correct answer: 4. All of the above

Explanation: (D) All of the above # White centered superficial retinal hemorrhages (Roth's Spots) or Haemorrhagic cotton-wool spot:> First described by Roth's in 1872, thought to be pathognomonic for subacute bacterial endocarditis.> Etiology as per Roth Suggestion: Focal abscess from bacterial emboli lead to erosion of the capillary endothelium and resultant retinal haemorrhage which is then filled with RBC and WBC.> Other possibilities are: ; Coagulated albuminous material; Necrotic nerve structures. ; Cytoid bodies ; Focal nerve fibre layer infarcts ; Antigen-antibody complexes ; Fibrin and platelet deposits, Central clearing of previous hemorrhageROTH'S SPOTS DIFFERENTIAL DIAGNOSISInfectionsNon-Infections* Bacterial endocarditisLeukemias* Septicemia (bacterial or fungalAnemias* HIV retinitisMultiple myelomas* CMV retinitisDiabetic retinopathy* ToxoplasmosisHypertensive retinopathy* RetinochoroditisCRVO/BRVO* TB retinal vasculitisSarcoidosis Vasculitis* Sypilitic retinitisRadiation retinopathy Shakon Bay syndrome* Viral pneumoniaPurtscher's retinopathy* Candida albicansLupus retinopathy; Retinal phlebitis